Which of the following is example of hyaline cartilage?
1. Epiglottis
2. Tip of nose
3. Apex of arytenoid cartilage
4. Pinna

Correct answer: 2. Tip of nose

Explanation: Hyaline cartilage is seen at tip of nose ; lateral wall of nose and nasal septum Inderbir Singh's textbook of human Histology Seventh edition Pg no 82